In which of the following Mentalisation based therapy is used?
1. Antisocial personality disorder
2. Obsessive compulsive personality disorder
3. Avoidant personality disorder
4. Borderline personality disorder

Correct answer: 4. Borderline personality disorder

Explanation: Ans. D. Borderline personality disorderMentalization-based treatment: psychotherapy for borderline personality disorder is called mentalization-based therapy (MBT). Mentalization is a social construct that allows a person to be attentive to the mental states of oneself and of others; it comes from a person's awareness of mental processes and subjective states that arise in interpersonal interactions. MBT is based on a theory that borderline personality symptoms, such as difficulty regulating emotions and managing impulsivity, are a result of patients' reduced capacities to mentalize. Thus, it is believed that recovery of mentalization helps patients build relationship skills as they learn to better regulate their thoughts and feelings. MBT was found to be effective for borderline personality disorder in several randomized, controlled research trials.